In patients with liver disease, anaesthetic of choice is :
1. Halothane
2. Ether
3. Isoflurane
4. None

Correct answer: 3. Isoflurane